Hutchinson's teeth involves -
1. Incisors
2. Premolars
3. Molars
4. Canine teeth

Correct answer: 1. Incisors